Metabolism of a drug primarily results in
1. Activation of the active drug
2. Conversion of prodruv to active metabolite
3. Conversion of lipid soluble drugs to water soluble metabolites
4. Conversion of water soluble drugs to lipid solible metabolites

Correct answer: 3. Conversion of lipid soluble drugs to water soluble metabolites

Explanation: Ref-Katzung 10/e p50 After metabolism most of the drugs become inactive and their excreted through the kidney. Lipids soluble drugs wil be reabsprbed whereas water soluble drugs are easily excreted.thus, metabolism of drugs helps in the conversion of liquid soluble drugs to water soluble metabolites